Prolactin secretion increased by all EXCEPT
1. Dopamine
2. Sleep
3. Pregnancy
4. Stress

Correct answer: 1. Dopamine

Explanation: Dopamine REF: Harrison's 17 edition chapter 333 Table 333-8"Dopamine is the primary neuroendocrine inhibitor of the secretion of prolactin from the anterior pituitary gland and hence causes hypoprolactinemia not hyperprolacinnemia"ETIOLOGY OF HYPERPROLACTINEMIAPhysiologicHypothalamic-PituitarySystemicDrug-inducedhypersecretionpituitary stalkdamagehypersecretiondisordershypersecretionPregnancyTumorsProlactinomaChronic renalPhenothiazines,LactationChest wallCraniopharyngiomaSuprasellar pituitaryAcromegalyfailureHypothyroidismchlorpromazine,perphenazinestimulationmass extension CirrhosisHaloperidolSleepMeningioma PseudocyesisMetoclopramideStressDysgerminoma Epileptic seizuresMethyldopa Metastases Reserpine Empty sella Opiates Lymphocytichypophysitis Cimetidine,ranitidine Adenoma with stalkcompression Amitriptyline,Amoxapine Granulomas Fluoxetine Rathke's cyst Verapamil IrradiationTraumaPituitary stalksection Estrogens,Antiandrogen,TRH Suprasellar surgery